Keratin filaments are joined to each other by
1. Desmosomes
2. Merkel cells
3. Lamellar bodies
4. Filaggrin

Correct answer: 4. Filaggrin

Explanation: Keratohyaline granules in the granular layer contain Filaggrin molecules that bind keratin filaments to each other.